Type of pneumonia in P. jiroveci:
1. Lobar pneumonia
2. Interstitial pneumonia
3. Bronchopneumonia
4. Any of the above

Correct answer: 2. Interstitial pneumonia

Explanation: Ans. b. Interstitial pneumonia